Most common cause of neonatal diarrhea worldwide is:
1. Rotavirus
2. Adenovirus
3. Norwalk virus
4. Cholera

Correct answer: 1. Rotavirus

Explanation: a. Rotavirus(Ref: Nelson's 20/e p 1616)In early childhood, the single most important cause of severe dehydrating diarrhea is rotavirus infection.